Local anaesthesia acts by –
1. Na+channel inhibition
2. Ca++ channel inhibition
3. Mg++ channel inhibition
4. K+ channel inhibition

Correct answer: 1. Na+channel inhibition

Explanation: Local anesthetics act by inhibiting Na+ channels from inside.